Which of thefollowing is NOT true about nasopharyngeal carcinoma?
1. Bimodal age distribution
2. EBV is implicated as etiological agent
3. Squamous cell carcinoma is common
4. Nasopharyngectomy and lymph node dissection is mainstay of treatment

Correct answer: 4. Nasopharyngectomy and lymph node dissection is mainstay of treatment

Explanation: In nasopharyngeal carcinoma, radiotherapy is the mainstay of treatment. Radical neck dissection is required for persistent nodes when primary has been controlled.